In staphylococci, plasmids, encoding beta-lactamase are transmitted by:
1. Conjugation
2. Transduction
3. Transposon
4. Transformation

Correct answer: 2. Transduction

Explanation: Transduction: It is the transfer of gene carrying resistance through the agency of a bacteriophage. The R foctor is taken up by the phage and delivered to another bacterium which it infects. Many Staph. aureus strains have acquired resistance by transduction. Certain instances of :&;enicillin, erythromycin and chloramphenicol resistance have been found to be phage mediated Beta-lactamases are produced by staphylococci, Haemophilus, gonococci, etc. which inactivate penicillin G. The